Which among the following is not true about Octreotide?
1. Somatostatin analogue
2. Used in secretory diarrhea in AIDS
3. Used in carcinoid
4. An absorbent

Correct answer: 4. An absorbent

Explanation: Octreotide is an octapeptide analog of somatostatin (SST) that is effective in inhibiting the severe secretory diarrhea brought about by hormone-secreting tumors of the pancreas and the GI tract. Its mechanism of action appears to involve inhibition of hormone secretion, including 5-HT and various other GI peptides (e.g., gastrin, vasoactive intestinal polypeptide (VIP), insulin, secretin, etc.). Octreotide has been used off label, with varying success, in other forms of secretory diarrhea such as chemotherapy-induced diarrhea, diarrhea associated with human immunodeficiency virus (HIV), and diabetes-associated diarrhea. Its greatest utility, however, may be in the "dumping syndrome" seen in some patients after gastric surgery and pyloroplasty. A long-acting preparation of octreotide acetate enclosed in biodegradable microspheres is available for use in the treatment of diarrheas associated with carcinoid tumors and VIP-secreting tumors, as well as in the treatment of acromegaly. Ref :Sharkey K.A., Wallace J.L. (2011). Chapter 46. Treatment of Disorders of Bowel Motility and Water Flux; Anti-Emetics; Agents Used in Biliary and Pancreatic Disease. In L.L. Brunton, B.A. Chabner, B.C. Knollmann (Eds), Goodman & Gilman's The Pharmacological Basis of Therapeutics, 12e.